Most common CNS tumor associated with NF-1 is?
1. Optic nerve glioma
2. Meningioma
3. Medulloblastoma
4. Ependymoma

Correct answer: 1. Optic nerve glioma

Explanation: Ans. is 'a' i.e., Optic nerve glioma * Optic nerve glioma is one of the diagnostic sign of NF-1.